Deep perineal pouch contains
1. Bulb of penis
2. Crura of penis
3. Bulbospongiosus
4. Membranous urethra

Correct answer: 4. Membranous urethra

Explanation: Deep perineal pouch is the anatomic space enclose by the perineum and located superior to the perineal membrane. the contents are deep transverse perineal muscle, external sphincter muscle of urethra, membranous portion of urethra, bulbourethral gland. Ref - BDC 6e Vol2 pg355